Commonest site of Atopic dermatitis is:
1. Scalp
2. Elbow
3. Ante-cubital fossa
4. Trunk

Correct answer: 3. Ante-cubital fossa

Explanation: Ans:C.)Antecubital Fossa. Atopic dermatitis It is a chronic, pruritic inflammatory skin disease (see image below) of unknown origin that usually starts in early infancy, but also affects a substantial number of adults. AD is commonly associated with elevated levels of immunoglobulin E (IgE). That it is the first disease to present in a series of allergic diseases--including food allergy, asthma, and allergic rhinitis, in order--has given rise to the "atopic march" theory. The earliest lesions affect the creases (antecubital and popliteal fossae), with erythema and exudation. Over the following few weeks, lesions usually localize to the cheeks, the forehead and scalp, and the extensors of the lower legs; however, they may occur in any location on the body, usually sparing the diaper area and the nose. Lesions are ill-defined, erythematous, scaly, and crusted (eczematous) patches and plaques.